Gynaecomastia is caused by which drug -
1. Spironolactone
2. Rifampicin
3. Thiazide
4. Propanolol

Correct answer: 1. Spironolactone

Explanation: Ans. is 'a' i.e., Spironolactone Drugs causing gynecomastiao Calcium channel antagonisto Isoniazideo Reserpineo Clomipheneo Ketoconazoleo Digitaliso Methyldopao Estrogenso Phenytoino Cimetidineo Ethionamideo Testosteroneo Griseofulvino Spironolactone